Pringle's maneuver is mainly used to control bleeding from?
1. IVC
2. Hepatic artery
3. Cystic artery
4. Hepatic vein

Correct answer: 2. Hepatic artery

Explanation: Ans. (b) Hepatic arteryRef: Bailey & Love 26th ed. / 360* Control of bleeding from portal vein is difficult because of vigorous backflow requiring a double pringle maneuver with clamping above and below the injury. In practice the hepato-duodenal ligament is often too short, to accommodate two clamps and portal vein, and must be repaired with less than optimal control using a combination of pringle maneuver and direct digital pressure* Pringle manoeuvre: Digital compression of the hilar vessels to control hepatic bleeding from traumatic injuries also known-as the Pringle maneuver.